All are features of Pompe's disease except
1. Hyperglycemia
2. Cardiomyopathy
3. Skeletal myopathy
4. Hepatomegaly

Correct answer: 1. Hyperglycemia

Explanation: Type II(Pompe) disease results from lysosomal storage of glycogen in skeletal muscles,cardiac muscles, and central nervous system.
There is progressive cardiomyopathy.ECG shows left axis deviation,short PR interval & large QRS.Heart failure with dyspnoea and cyanosis may occur.Skeletal muscles show hypotonia and marked weakness.The tongue is large & protruding.It is also characterised by hepatomegaly and hypoglycemia.